Locard’s principle is concerned:
1. Theory of relativity
2. Theory of decomposition
3. Theory of trauma
4. Theory of exchagnge

Correct answer: 4. Theory of exchagnge

Explanation: Ref. Textbook of forensic medicine. Krishnan Vij. Page. 302
 
Locard Principle:

When any two objects come into contact, there is always a transfer of material from each object on the other.
Some examples are fingerprints, footprints,hair, tool marks etc.